A young woman met with an accident and had mild quadriparesis. Her lateral X-ray cervical spine revealed C5-C6 fracture dislocation. Which of the following is the best line of management?
1. Immediate anterior decompression
2. Cervical traction followed by instrument fixation
3. Hard cervical collar and bed rest
4. Cervical laminectomy

Correct answer: 2. Cervical traction followed by instrument fixation

Explanation: For the cervical spine dislocation management, initially application of cervical traction is important followed by instrument fixation. Ref essential orthopaedic maheshwari and mhaskar 9TH ED /e p 267